Which of the following mechanism is responsible for Multiple proteins from a single gene?
1. RNA interference
2. mRNA capping
3. Mutations in the promoter of the gene
4. Alternate Splicing

Correct answer: 4. Alternate Splicing

Explanation: Alternate patterns of hnRNA splicing result in different mRNA molecules which can produce different proteins. Alternate splicing results in mRNA heterogeneity in fact, the processing of hnRNA molecules becomes a site for the regulation of gene expression.